Following surgical removal of a firm nodular cancerous swelling in the right breast and exploration of the right axilla, patient was found to have a winged right scapula. This occurred due to injury to which of the following nerve?
1. Subscapular muscle
2. Coracoid process of scapula
3. Long thoracic nerve
4. Circumflex scapular artery

Correct answer: 3. Long thoracic nerve

Explanation: Long thoracic nerve is a pure motor nerve which arise from branches of the C5, C6 and C7 nerve roots. It supplies serratus anterior muscle and damage to this muscle cause winging of scapula. Serratus anterior is the primary upward rotator of of the scapula during abduction of the arm and it stabilizes the shoulder during scapular protraction. It arises from the first through ninth ribs and it inserts onto the costo medial border border of the scapula.It upper fibers inserts onto the superior angle of the scapula and stabilize the scapula during the initial stages of abduction.Middle fibers inserts onto the vertebral border of the scapula.Lower fibers inserts onto the inferior angle of scapula.Ref: Conservative Management of Sports Injuries edited by Thomas E. Hyde page 356.